Essential WHO criteria for polycythemia vera?
1. Tyrosine kinase JAK2 V617F and other mutations
2. Low levels of erythropoietin levels
3. Thrombocytosis
4. Increased MCV

Correct answer: 1. Tyrosine kinase JAK2 V617F and other mutations